Treatment of choice of acute dacryocystitis:-
1. Massage over lacrimal sac
2. Syringing and probing
3. Systemic antibiotics and analgesics
4. Dacryocystorhinostomy

Correct answer: 3. Systemic antibiotics and analgesics

Explanation: Acute Dacryocystitis Stages Cellulitis | Lacrimal Abscess | Fistula formation Treatment Systemic antibiotics Systemic analgesics Hot fomentation No Surgical intervention